Undulant fever is caused by -
1. Bartonella
2. Brucella melitensis
3. Bordetella
4. Borelia recurrentis

Correct answer: 2. Brucella melitensis

Explanation: Ans. is 'b' i.e., Brucella melitensis . Acute brucellosis also known as undulant fever is mostly due to Br. melitensis.